Which among the following is NOT a pain sensitive structure in the brain?
1. Middle meningeal artery
2. Falx cerebri
3. Dural sinuses
4. Choroid plexus

Correct answer: 4. Choroid plexus

Explanation: Relatively few cranial structures are pain-producing; these include the scalp, middle meningeal artery, dural sinuses, falx cerebri, and proximal segments of the large pial arteries. The ventricular ependyma, choroid plexus, pial veins, and much of the brain parenchyma are not pain-producing. Ref: Goadsby P.J., Raskin N.H. (2012). Chapter 14. Headache. In D.L. Longo, A.S. Fauci, D.L. Kasper, S.L. Hauser, J.L. Jameson, J. Loscalzo (Eds), Harrison's Principles of Internal Medicine, 18e.